Mugging is compression of neck by:
1. Wooden sticks
2. Rope
3. Bend of elbow
4. Hand

Correct answer: 3. Bend of elbow

Explanation: Ans. Bend of elbow